Most consistent symptom of fibroid:
1. Menorrhagia
2. Metrorrhagia
3. Dysmenorrhea
4. Urinary symptoms

Correct answer: 1. Menorrhagia

Explanation: Ans. is a, i.e. Menorrhagia* M/c presentation of fibroid-asymptomatic* M/c symptom-Menstrual symptom-MenorrhagiaMetrorrhagia is seen in fibroid polyp.